Which pigment accumulates in brown atrophy of heart?
1. Melanin
2. Lipofuscin
3. Hemosiderin
4. Hemozoin

Correct answer: 2. Lipofuscin

Explanation: Lipofuscin, or "wear-and-tear pigment," is an insoluble brownish-yellow granular intracellular material that accumulates in a variety of tissues (particularly the heart, liver, and brain) as a function of age or atrophy.Lipofuscin represents complexes of lipid and protein that derive from the free radical-catalyzed peroxidation of polyunsaturated lipids of subcellular membranes. It is not injurious to the cell but is a marker of past free radical injury. The brown pigment, when present in large amounts, imparts an appearance to the tissue that is called brown atrophy. Melanin is an endogenous, brown-black pigment that is synthesized by melanocytes and acts as a screen against harmful ultraviolet radiation.Hemosiderin is a hemoglobin-derived granular pigment that is golden yellow to brown and accumulates in tissues when there is a local or systemic excess of iron.( Robbins Basic Pathology, 9th edition, page 24 )